All of the following are neuronal tumors, except-
1. Gangliocytoma
2. Ganglioglioma
3. Neurocytoma
4. Ependymoma

Correct answer: 4. Ependymoma

Explanation: Conventional classification of CNS tumors

Conventionally, CNS tumors are classified into following three groups:-


Glial tumors :- Primary tumors of the CNS that arise from the three glial cells present in the CNS, i.e., astrocytes, oligodendrocytes and ependymal cells. Examples are astrocytomas, oligodendrogliomas, ependymomas, mixed gliomas.
Neuronal tumors :- Primary tumors of the CNS that contain mature appearing neurons or show neuronal lineage. Examples are neurocytomas, gangliocytomas and gangliogliomas.
Embroyonal tumors (poorly differentiated tumors) :- Primary tumors of the CNS which thought of neuroectodermal origin express few if any phenotype features of mature cells of the nervous system. Examples are medulloblastomas, neuroblastomas and ependymoblastomas.